Trisomy is seen in which of following?
1. Turner syndrome
2. Fragile-X syndrome
3. Noonan syndrome
4. Edward syndrome

Correct answer: 4. Edward syndrome

Explanation: Ans. is 'd' i.e., Edward syndrome Important trisomies are Down syndrome (Trisomy 21), Edward syndrome (Trisomy 18); Patau syndrome (Trisomy 13), Cat eye syndrome (Trisomy 22)